Choline in seminal fluid is detected by?
1. Barberiotest
2. Florence test
3. ELISA
4. Agglutination inhibition

Correct answer: 2. Florence test

Explanation: Ans. is 'b' i.e., Florence test Microchemical tests for semen analysis:A) Florence test - Brown crystals of choline periodideB) Barberio's test - Yellow coloured crystals of spermin picrate.Tests to detect semen are:A. Chemical tests:1) Microchemical tests : Florence test (produces brown crystals of choline periodide), and barberio's test (produces yellow crystals of spermine picrate by picric acid).2) Enzyme tests: Acid phosphatase (concentration > 10 K.A./ml), creatinine phosphokinase (>400 units) and specific glycoproteins (P30 or MHS-5).3) Ammonium molybdate test: It gives deep deep yellow colour, due to presence of phosphorus.B Microscopic examination:o It is done to demonstrate the presence of spermatozoa in the vaginal fluid or in stain.C. Biological examination:1) Precipitin test: To know the species to which semen belongs.2) Blood group can be known from semen.D. UV light:o Invisible, softned and dry semen stains of the clothes can be rendered distinct by the filtered UV light(AIIMS 09), which produces bluish fluorescence.E. Testes for determination of specific protein component (e.g. LDH isoenzyme):o These are immunoelectrophoresis, gel diffusion precipitation, gel electrophoresis, immunodiffusion, isoelectric focussing and TLC (thin layer chromatography).